Which of the following is a feature of congenital glaucoma?
1. Angle closure glaucoma
2. Open angle glaucoma
3. Trabeculodysgenesis
4. Inflammatory glaucoma

Correct answer: 3. Trabeculodysgenesis

Explanation: Trabeculodysgenesis is the main pathogenesis for congenital glaucoma. Pathogenesis of Congenital Glaucoma Pathogenesis: Abnormal development of angle (trabeculodysgenesis) (Berkens Membrane). Flat iris insertion. Haab's stria : Horizontal Stria present in glaucoma. - Classical triad of lacrimation, photophobia & blepharospasm is seen. - Signs :Large eye, hazy cornea , Haab's striae. - Treatment : Goniotomy ; Trabeculotomy